Which substance gets accumulated in abnormal amounts in Alkaptonuria
1. Acetoacetate
2. Oxalate
3. Homogentisate
4. Phenylacetic acid

Correct answer: 3. Homogentisate

Explanation: Alkaptonuria:

Homogentisate oxidase deficiecy
Accumulation of Homogentisic acid.
Ochronosis: Deposition of alkaptone bodies in cartilages leading to pigmentation.